Not a cause of acute anal pain
1. Thrombosed hemorrhoids
2. Acute anal fissure
3. Fistula in ano
4. Perianal abscess

Correct answer: 3. Fistula in ano

Explanation: Ans. c. Fistula in ano